Which of the following organs secretes zinc in large amount in man?
1. Seminal vesicle
2. Prostate
3. Epididymis
4. Vas

Correct answer: 2. Prostate

Explanation: Prostate contributes 20% of the total volume of the semen. Secretion from the prostate contains the following: Spermine Citric acid Cholesterol, phospholipids Fibrinolysin, fibrinogenase Zinc Acid phosphatase From seminal vesicles: Fructose Phosphorylcholine Ergothioneine Ascorbic acid Flavins Prostaglandins Ref: Barrett K.E., Barman S.M., Boitano S., Brooks H.L. (2012). Chapter 23. Function of the Male Reproductive System. In K.E. Barrett, S.M. Barman, S. Boitano, H.L. Brooks (Eds), Ganong's Review of Medical Physiology, 24e.